The first sign of Vit A deficiency is :
1. Conjunctiva xerosis
2. Corneal ulcer
3. Keratomalacia
4. Bitot’s spot

Correct answer: 1. Conjunctiva xerosis

Explanation: Modified classification WHO (Xerophthalmia) XN : Night blindness
XIA : Conjunctival xerosis XIB : Bitot’s spots
X2: Corneal xerosis
X3A : Corneal ulceration/keratomalacia less than 1/3rd corneal surface
X3B : Corneal ulceration/keratomalacia equal to or more than 1/3rd corneal surface XS : Corneal scar
XF : Xerophthalmia fundus.